Pain & tenderness over the lateral condyle of the humerus with a painful dorsiflexion of the wrist is indicative of-
1. Golfer's Elbow
2. Tennis Elbow
3. Pitcher's Elbow
4. Cricket Elbow

Correct answer: 2. Tennis Elbow

Explanation: Pain and tenderness over the lateral condyle of the humerus with a painful dorsiflexion of the wrist is indicative of Tennis elbow or lateral epicondylitis.